Conduction velocity of nerve is reduced in all of the following conditions, except -
1. Acute Motor Axonal Neuropathy (AMAN)
2. Acute Inflammatroy Demyelinating Neuropathy (AIDP)
3. Hereditary Sencory Motor Neuropathy (HSM)
4. Multifocal Motor Neuropathy

Correct answer: 1. Acute Motor Axonal Neuropathy (AMAN)